The most common organism causing chorioretinitis in HIV is
1. CMV retinitis
2. Toxoplasma chorioretinitis
3. Syphilitic retinitis
4. Pneumocystis carini

Correct answer: 1. CMV retinitis

Explanation: (Refer: AK Khurana Comprehensive Ophthalmology, 6th edition, pg no. 470 - 472)Cytomegalovirus (CMV) is the most common cause of chorioretinitis in patients who are HIV positive